Digestion in intestinal mucosa is inhibited by:
1. V. cholerae
2. G. lamblia
3. Enterokinase
4. S. haematobium

Correct answer: 2. G. lamblia

Explanation: Ans. is 'b' i.e., G. lambliaGiardia causes abnormalities of villous structure that causes a disturbance of intestinal function leading to malabsorption, particularly of lipids and lipids soluble vitamins.